In parathyroid crisis with sudden elevations of calcium over 16 mg /dl ; the treatment consist of -a) Intravenous vitamin Db) Parathyroidectomy for removal of adenomac) Thyrocalcitonind) Intravenous bicarbonatee) All of the above
1. bc
2. c
3. ac
4. ad

Correct answer: 1. bc